Most common variety of vaginal cancer is -
1. Adenocarcinoma
2. Squmaous carcinoma
3. Melanoma
4. Clear cell

Correct answer: 2. Squmaous carcinoma

Explanation: Ans. is 'b' i.e., Squmaous carcinoma * Vaginal cancer is an uncommon cancer of the female reproductive systemThere are 4 types of vaginal cancer1) Squamous cell carcinoma: Squamous cell carcinoma can develop in the cells lining the vagina, most often in the area closest to the cervix. Squamous cell carcinoma makes up 85% to 90% of vaginal cancers. It develops slowly through a precancerous condition (changes in cells that may, but do not always, become cancer) called vaginal intraepithelial neoplasia or VAIN.2) Adenocarcinoma: Adenocarcinoma begins in the vaginal gland tissue. It makes up about 5% to 10% of vaginal cancers.3) Clear cell adenocarcinoma: This cancer occurs in women whose mothers took the drug diethylstilbestrol (DES) during pregnancy between the late 1940s and 1971. It is estimated that 1 woman out of 1,000 women exposed to DES will develop vaginal cancer.4) Melanoma: Melanoma can begin on the skin of the vagina or other internal organs. Melanoma is usually found on skin exposed to the sun and often appears as a dark-colored tumor on the lower or outer parts of the vagina.